In the bioaccumulation of DDT in the aquatic food chain of Plakton → Clams → Fish– eating birds, which group of organisms exhibits highest concentration of DDT (in their bodies) ?
1. Plankton
2. Clams
3. Fish
4. Fish– eating birds

Correct answer: 4. Fish– eating birds